Which cox wont grow in egg, animal cells ?
1. Cow pox
2. Vaccinia
3. Variola
4. Molluscum

Correct answer: 4. Molluscum

Explanation: Ans. is 'd' i.e., Molluscum Humans are the only susceptible hosts for molluscum contagiosum virus. The virus cannot be grown in eggs, tissue cultures or animals. Vaccinia virus may be grown in wide range of animals. Variola can be grown in monkey. Cowpox virus, as the name suggests, infects cow; and also humans.